Hysteroscopic resection can be done in submucosal myomas of size
1. Any size can be done
2. < 4 cm
3. 4-8 cm
4. < 10 cm

Correct answer: 2. < 4 cm

Explanation: For submucosal myomas Grade 0-1, hysteroscopic resection (for <4 cm diameter) or abdominal myomectomy (for >4 cm diameter) is the recommended treatmentReference: NICE Guidelines